Under national polio eradication programme, a case of acute flaccid paralysis is confirmed as polio by surveillance after how many days?
1. 15 days
2. 30 days
3. 60 days
4. 90 days

Correct answer: 3. 60 days

Explanation: 60 days REF: Park 20' edition page 177, 178, Infectious disease surveillance - Nkuchia M. M'ikanatha Page 507, www.npspindia.org "As soon as lab results and (when required) 60-day follow-up reports are available, the cases are classified at NPSU as polio or non-polio AFP. Cases with inadequate specimens are reexamined at 60-days; if no residual weakness is found, the case is discarded as non-polio AFP. Beyond 60 days after paralysis onset, the likelihood of detecting poliovirus is very low"